'Sui needle used to kill animals are made of:
1. Dhatura seeds
2. Rati seeds
3. Lead peroxide
4. Arsenic

Correct answer: 2. Rati seeds

Explanation: Ans. Rati seeds